Following splenectomy in children, which one of the following is recommended?
1. Hepatitis B vaccination
2. Typhoid vaccination
3. Pneumococcat vaccination
4. Regular follow up

Correct answer: 3. Pneumococcat vaccination